Age of child with 20 permanent teeth and 4 temporary teeth is:
1. 9 years
2. 10 years
3. 11 years
4. 14 years

Correct answer: 3. 11 years

Explanation: Ans. 11 years